Hot potato voice is characteristic of ?
1. Nasopharyngeal carcinoma
2. Glottic carcinoma
3. Subglottic carcinoma
4. Supraglottic carcinoma

Correct answer: 4. Supraglottic carcinoma

Explanation: Ans. is 'd' i.e., Supraglottic carcinoma Clinical features of supraglottic carcinoma Pain on swallowing is the most frequent initial symptom -- Devita 7th/e p. 698 Mass in neck may be the first sign. Hoarsness is a late symptom. Pain may be referred to ear by vagus nerve and auricular nerve of arnold. Late symptoms include foul breath, dysphagia and aspiration. Large tumors can cause "hot potato voice/muffled voice". Hemoptysis, sore throat, shorteness of breath, stridor, otalgia and aspiration pneumonia may also occur.